Commonest site of march is:
1. Involves shaft of 2 & 3 rd metatarsals
2. Avulsion of 5th metatarsals
3. Calcaneus involved
4. Olecranon involved

Correct answer: 1. Involves shaft of 2 & 3 rd metatarsals

Explanation: A i.e. Involves shaft of 2 & 3 rd metatarsals * March fracture is a stress fatigue fracture of second metarsalQ* Avulsion fracture of base of fifth metatarsal is known as pot hole injury or Robert Jones fracture